"Spider leg" deformity in excretory urogram occurs in
1. Hydronephrosis
2. Polycystic kidney
3. Uretrocele
4. Renal agenesis

Correct answer: 2. Polycystic kidney

Explanation: polycystic kidney, an autosomal dominant disease, common in females; excretory urogram shows 'spider leg' pattern - elongated and compressed renal pelvis with narrowed and stretched calyces over the cysts. ( Reference: emedicine.medscape.com/article/983281-workup )